Uterine prolapse is prevented by all the following EXCEPT:
1. Broad ligament of uterus
2. Levator ani muscle
3. Uterosacral ligament
4. Transcervical ligament

Correct answer: 1. Broad ligament of uterus

Explanation: Ans-A (Broad ligament of uterus). (Ref. Shaw's Text book of Gynaecology 13th/pg. 16)The supports of uterus and bladder are seen to be triradiate condensation of endopelvic fascia:Ligaments of the uterusSuspensory ligament of ovaries# Contains the ovarian vessels.Transverse cervical (Cardinal/Macken rodt's ligament)# Mackenrodt's ligament is the main support of uterus.# Contains the uterine vessels.Round ligament of uterus# Contains no important structures. Travels through the inguinal canal and attaches distally to the labia majora.# analogous to the ductus deferens in the male.Broad ligament# Contains the round ligaments of the uterus and ovaries and the fallopian tubes.# The broad ligament is essentially the mesentery of the uterus, tube, and ovary, and encloses a rich plexus of vessels.